Which one of the following drugs does not have active metabolite ?
1. Diazepam
2. Propranolol
3. Allopurinol
4. Lisinopril

Correct answer: 4. Lisinopril

Explanation: - Among the given options, only Lisinopril does not have an active metabolite. Except for Captopril and Lisinopril, all Angiotensin Converting Enzyme (ACE) inhibitors are prodrugs.
- Diazepam produces Oxazepam and many other active metabolites.
- Propranolol can give rise to 4-hydroxyPropranolol which has β antagonist activity
- Oxypurinol is produced from Allopurinol.